Which of the following is the most ionizing radiation?
1. Alpha
2. Beta
3. X Rays
4. Gamma

Correct answer: 1. Alpha

Explanation: Alpha particles are the most energetic of the 4 types of ionizing radiations. Atoms of different types are known as elements. Elements such as uranium, radium and thorium are unstable. As they change into more stable forms, they release invisible waves of energy called ionizing radiation. 4 main types of ionizing radiations are alpha, beta, gamma and X rays. Alpha particles are the most energetic of the 4 types of ionizing radiation. 1qswThese are 10 times as harmful as Xrays, beta or gamma rays. It can travel only for a short distance i.e few inches in air. Alpha particles lose their energy almost as soon as they collide with anything. Ref: Energy : Nuclear, Advanced Reactor Concepts and Fuel Cycle Technologies By John, 2005, Grossenbacher, Carl E Behrens, Page 24; Community Health Nursing By Basavanthappa, Page 327